Ruffini end organ is associated with sensation of?
1. Pressure
2. Cold
3. Vibration
4. Position sense

Correct answer: 1. Pressure

Explanation: Ans. is 'a' i.e., Pressure o Ruffini end organ (Ruffini corpuscles) are stimulated by sustained pressure.Sensory SystemModalityStimulus EnergyReceptor ClassReceptor Cell TypesSomatosensoryTouchTap, flutter 5-40 HzCutaneous mechanorecaptorMeissner corpusclesSomatosensoryTouchMotionCutaneous mechanorecaptorHair follicle receptorsSomatosensory'TouchDeep pressure, vibration 60-300 HzCutaneous mechanorecaptorPacinian corpusclesSomatosensory'TouchTouch, pressureCutaneous mechanorecaptorMarked cellsSomatosensory'TouchSustained pressureCutaneous mechanorecaptorRuffini corpusclesSomatosensoryProprioceptionStretchMechanoreceptorMuscle spindlesSomatosensoryProprioceptionTensionMechanoreceptorGolgi tendon organSomatosensoryTemperatureThermalThermoreceptorCold and warm receptorsSomatosensoryPainchemical, thermal and mechanicalChemoreceptor, thermore- ceptor and mechanoreceptorPolymodal receptors or chemical, thermal and mechanical nociceptorsSomatosensoryItchChemicalChemoreceptorChemical receptorVisualVisionLightPhotoreceptorRods, conesAudiotoryHearingSoundMechanoreceptorHair cells (cochlea)VestibularBalanceAngular accelerationMechanoreceptorHair cells (Semicircular canals)VestibularBalanceLinear acceleration, gravityMechanoreceptorHair cells (otolith organs)OlfactorySmellChemicalChemoreceptorOlfactory' sensory neuronsGustatoryTasteChemicalChemoreceptorTaste buds